A triangular opacity with clear borders, base towards midline and obliterating right heart border on a chest radiograph suggest that the pathology is likely to be in -
1. Apical segment of right lower lobe
2. Medial segment of right lower lobe
3. Right middle lobe
4. Any of the above

Correct answer: 3. Right middle lobe

Explanation: Right middle lobe pathology obliterates lower right border of heart producing silhouette sign.